Immunoglobulin present in mouth local secretions?
1. IgA
2. IgM
3. IgG
4. IgE

Correct answer: 1. IgA

Explanation: Ans. is 'a' i.e.,IgA It is the second most abundant antibody (after IgG). It is major immunoglobulin in clostrum, saliva, tears, respiratory and gastrointestinal secretions.